BNP is degraded by:
1. Neutral endopeptidase
2. Elastase
3. Ormapatrilat
4. ACE

Correct answer: 1. Neutral endopeptidase

Explanation: Brain natriuretic peptide (BNP) was cleaved by neutral endopeptidase (NEP) BNP is useful in CCF Nesiritide blocks this neutral endopeptidase thereby enhancing levels of BNP - used in CCF Ref: KD tripathi 8th ed